Length of lower esophageal sphincter -
1. 1-2 cm
2. 3-4cm
3. 1-2 mm
4. 3-4 mm

Correct answer: 2. 3-4cm

Explanation: Ans. is 'b' i.e., 3-4 cm "The cricopharyngeal sphincter is 2-3 cm, and the lower esophageal sphincter (LES) is 3-4 cm long". - Textbook of GI Surgeryo Approximately 2 cm of the esophagus lie below the diaphragm in the abdomen (abdominal part of esophagus)o Within this portion of esophagus the abdominal part of LES is locatedo Another 1-2 cm of LES lie above the diaphragm in mediastinum, i.e. thoracic part of LES.o Thus total length of LES is 3-4 cm.